Minimum vision loss with which cataract:
1. Blue dot cataract
2. Zonular cataract
3. Anterior polar cataract
4. Posterior polar cataract

Correct answer: 1. Blue dot cataract

Explanation: Ans. Blue dot cataract